Which of the following is a Fissural cyst is
1. Dentigerous cyst
2. Primordial cyst
3. Nasopalatine cyst
4. Radicular cyst

Correct answer: 3. Nasopalatine cyst